Acquired multistep drug resistance can be seen in all except:
1. Erythromycin
2. Streptomycin
3. Tetracycline
4. Chloramphenicol

Correct answer: 2. Streptomycin

Explanation: Development of acquired resistance may be due to single-step mutation (as seen with streptomycin  and rifampicin) or multi-step mutation (erythromycin, tetracycline and chloramphenicol).